True about light microscopy in minimal change disease is :
1. Loss of foot process seen
2. Anti GBM Abs seen
3. IgA deposits seen
4. No change seen

Correct answer: 4. No change seen

Explanation: . No change seen